A 62-year-old farmer presented with a warty plaque on the sole of the right foot since a year. Examination revealed a large, warty, hyperpigmented plaque on the sole of the involved foot. What is the probable diagnosis?
1. Tuberculosis verrucosa cutis
2. Verruca vulgaris
3. Mycetoma foot
4. Lichen simplex Chronicus

Correct answer: 1. Tuberculosis verrucosa cutis

Explanation: History suggestive of Tuberculosis verrucosa cutis / Anatomist's wart - Tuberculosis verrucosa cutis - Caused by exogenous inoculation of tubercle bacilli into skin of individuals with good immunity. Affects children/young adults who contract the bacteria by walking barefoot--> warty plaque on the sole of the foot Sitting on ground contaminated with TB sputum--> lesion on buttocks. Skin HPE - dermal inflammation, epithelioid cell granuloma with central multinucleated Langhans giant cell. Caseous necrosis absent VIRAL WART ANATOMIST WART Numbers Multiple Single Induration Absent Present Scarring Absent Present(central) Discharge Absent Present( serous) Mycetoma foot- triad of painless subcutaneous mass,multiple sinusesanddischarge containing grains.